True in narcolepsy is
1. Normal night time sleep
2. Normal REM sleep
3. Hypersomnia
4. Increased REM latency

Correct answer: 3. Hypersomnia

Explanation: Narcolepsy is the most repeated question Though the choices may look confusing but this will be simple if mechanism is understood * NARCOLEPSY * Cataplexy ( loss of muscle tone) * Hynogogic hallucination * Hynopompic hallucination * Sleep paralysis * Excessive day time sleepiness * Strong emotions can trigger cataplexy * ETIOLOGY======HYPOCRETIN DEFICIENCY in LATERAL HPOTHALAMUS * TREATMENT=====MODAFINIL AND psychostimulants In normal individuals REM sleep occurs after 90 minutes of NREM sleep. During the REM sleep there will be LOSS OF POSTURE and DREAMS In patients with narcolepsy that occurs due to hypocretin deficiency in lateral hypothalamus, the REM sleep occurs early immediately after the patient goes to bed, thus when the patient is half awake, REM sleep starts and he will start experiencing dreams and could hear voices which the patient would attribute to hallucinations called as HYPNOGOGOC HALLUCINATIONS, they would be half awake and the REM sleep would start and it make them immobile thus causing SLEEPPARALYSIS In patients with narcolepsy that occurs due to hypocretin deficiency in lateral hypothalamus, the REM sleep occurs not only immediately after the patient goes to bed sometimes it even gets into wakefulness thus when the patient is awake and when REM starts he would have loss of tone called as CATAPLEXY MOST REPEATED ONW WORD NARCOLEPSY HAS CATAPLEXY (sudden loss of tone and falls to sleep) CATATONIA HAS CATALEPSY (abnormal postures) Ref.Kaplon and sadock, synopsis of psychiatry, 11 th edition, pg no. 545